Only males are affected in?
1. Scheie's syndrome
2. Hunters syndrome
3. Hurlers syndrome
4. Gauchers disease

Correct answer: 2. Hunters syndrome

Explanation: Inheritance of: -* Gaucher's disease- Autosomal recessive- Affects both males and females* Hurler syndrome- Autosomal recessive- Affects both males and females* Scheie's syndrome- Autosomal recessive- Affects both males and females* Hunters syndrome- X linked recessive- Only affect malesMost probably the question should have been, "Only males are affected in"The answer would have been Hunters syndromeAll these are lysosomal storage diseases.Remember that - "All lysosomal diseases are autosomal recessive except for Hunter's syndrome and Fabry's disease which are X- linked recessive"As hunter's syndrome is X-linked recessive, it will affect onl males.